When a molar has no opposing tooth, it can become:
1. Extruded
2. Intruded
3. Protruded
4. Retruded

Correct answer: 1. Extruded